Acute hemorrhagic fever with renal involvement is caused by ?
1. KFD
2. Yellow fever
3. Hanta virus
4. JE

Correct answer: 3. Hanta virus

Explanation: Ans. is 'c' i.e., Hanta virus Hantavirus causes hemorrhagic fever with renal syndrome.